A patient with pancreatic malignancy presents with lethargy, yellow urine and pruritus. The probable location of the tumor is:
1. Head of the pancreas
2. Body of the pancreas
3. Tail of the pancreas
4. Pancreatic malignancy with liver metastasis

Correct answer: 1. Head of the pancreas

Explanation: Obstructive jaundice is a frequent feature when the cancer is located in the head of pancreas. The symptoms are abdominal discomfort, pruritus, lethargy, and weight loss. Physical signs: Jaundice and cachexia, and scratch marks. 25% have a palpable gall bladder (Courvoisier's sign). Ref: Harrison, Edition -18, Page-789